Macular sparing is associated with lesions in:
1. Optic nerve
2. Lateral geniculate body
3. Occipital cortex
4. Optic chiasma

Correct answer: 3. Occipital cortex

Explanation: Macular sparing, that is, loss of peripheral vision with intact macular vision, is also common with occipital lesions Ref: Guyton 12th Ed.